Caudal Anesthesia is produced by introduction of local Anesthetic solution into
1. Subarachnoid space
2. Peridural space
3. Lower part of the subarachnoid space
4. Sacral canal through the sacral hiatus

Correct answer: 4. Sacral canal through the sacral hiatus